Risk of HIV transmission is highest during?
1. During Caesarian section
2. During antepartum period
3. During vaginal delivery
4. Breastfeeding

Correct answer: 3. During vaginal delivery

Explanation: Ans. C. During vaginal deliverya. Mothers, who are HIV infected can pass the virus on to their fetuses in utero or to infants via breast milk. Vaginal delivery is the most common and most effective mode of transmission.b. Perinatal transmission-The vertical transmission to neonates of the infected mothers is 25-35%. The baby may be affected in utero (30%) through transplacental transfer, during delivery (70-75%) by contaminated secretions and blood of the birth canal and through breast milk in neonatal period (10-20%).c. It is clear from recent European studies that Cesarean section alone, or in combination with antiretroviral therapy can affect an additional significant reduction in perinatal HIV transmission.d. These results support the conclusion that some HIV infection must be acquired during passage through the vaginal canal.e. In non-breast-feeding populations it is estimated that 50to70% of HIV infection is acquired during labor and delivery and the remainder in utero. To date, studies directed at reducing exposure to HIV during birth other than Cesarean section, have not demonstrated a benefit in reducing HIV transmission.